Secondary granules in neutrophil is-
1. Lactoferrin
2. Proteolytic enzymes
3. Nucleotidase
4. Catalase

Correct answer: 1. Lactoferrin

Explanation: Ans. is 'a' i.e., Lactoferrin Neutrophils Neutrophils or polymorphonuclear leukocytes are the primary phagocytic cells involved in host resistance to bacterial infection. Neutrophils are the major cells in early phase of acute inflammation. During maturation these cells develop following lysosomal granules : ? 1. Primary (azeurophilic) granules Develops at promyelocytic stage It is more destructive Release their contents within the phagolysosomes. Do not secret their contents extracellularly readily and require high levels of agonists to do so. Contents are : ? Myeloperoxidase 4. Elasases 7. Defensin Lysozyme 5. Nonspecific collegenase 8. Cathepsin G Acid hydrolases 6. Bacterial permeability protein (BPI) 9. Phospholipase A2. 2. Secondary (specific) granules Develops at myelocytic stage Less destructive Secrete their contents extracellularly more readily and by lower concentration of agonists. Contents are : ? Lactoferrin 5. Phospholipase A2 9. Gelatinase Lysozyme 6. Leukocyte adhesion molecules 10. Histaminase Alkaline phosphatase 7. Plasminogen activator 11. 132-miroglobulin Type IV Collegenase 8. Vit B12 binding protein 12. Cytochrome B 3. Teriary (C-Particle) granules (From internet) Develops during chemotaxis Contains gelatinase and acid hydrolases